The serum of a newborn infant reveals a 1:32 cytomegalovirus (CMV) titer. The child is clinically asymptomatic. Which of the following courses of action would be advisable?
1. Repeat the CMV titer immediately
2. Wait 6 months and obtain another titer on the baby
3. Obtain an anti-CMV lgM titer from the mother
4. Obtain an anti-CMV lgM titer from the baby

Correct answer: 4. Obtain an anti-CMV lgM titer from the baby

Explanation: Clinical manifestations of cytomegalovirus (CMV) infection may not be readily apparent at birth. Thus, in a newborn infant with a 1:32 titer of CMV, it is necessary to determine whether the antibodies were passed transplacentally from the mother (these antibodies would be IgG) or produced by the fetus in response to an in utero infection (lgM). A newborn infant who is infected excretes large numbers of virus particles in the urine and, therefore, places other neonates at risk for contraction CMV disease.